Toxic megacolon is seen as a complication in ?
1. Crohn's disease
2. Ulcerative colitis
3. Colonic diverticulosis
4. Miliary TB

Correct answer: 2. Ulcerative colitis

Explanation: Toxic megacolon can arise as a  complication following chronic ulcerative colitis.